Metropathica hemorrhagica is best treated by:
1. Curettage of uterus
2. Progestogen
3. Estrogen
4. Clomiphene

Correct answer: 2. Progestogen

Explanation: Ans. is b, i.e. ProgestogenRef: Dutta Gynae 5th/ed, p184,187, 6th/ed, pMetropathica hemorrhagica is a type of anovulatory DUB, hence logically speaking it should be best treated by progesterone therapy.It is mostly seen in premenopausal women.Patients complain of a variable period of amenorrhea followed by excessive painless bleeding.On HPE-cystic glandular hyperplasia, Swiss cheese pattern is seen, and secretory changes are absentTreatment:* In DUB due to anovular causes: Progesterones are the mainstay of therapy.* They diminish the effects of estrogen on target cells by inhibiting oestrogen receptors.